Sodium valproate: Drug of choice for all the following except
1. Absence seizures
2. Myoclonic seizures
3. Atonic seizures
4. Infantile spasms

Correct answer: 4. Infantile spasms

Explanation: DOC for status epilepticus is lorazepam Carbamazepine-DOC for simple and complex partial seizures. Valproate DOC for GTCS,Atonic,myoclonic,absence,LG syndrome,clonic,tonic seizures. Ref: Katzung 12th ed.